Bone removing cells:
1. Osteoblasts
2. Osteoclasts
3. Stem cells
4. Cytotoxic T cells

Correct answer: 2. Osteoclasts

Explanation: Ans. (b) Osteoclasts(Ref: Ganong, 25th ed/p.376)Osteoblasts are the "bone forming cells".Osteoclasts are the "bone resorption cells"